A 22 year old male is admitted with fracture of the left femur. Two days later, he becomes mildly confused, has a respiratory rate of 40/min and scattered patechial rash on his upper torso. Chest X-ray shows patchy alveolar opacities bilaterally. His arterial blood gas analysis is abnormal. The most likely diagnosis is
1. Cerebral oedema with early neurogenic pulmonary oedema
2. Pulmonary thrombo-embolism
3. Chest contusion
4. Fat embolism

Correct answer: 4. Fat embolism

Explanation: D i.e. Fat embolism